At what age does calcification of the primary dentition begin?
1. 6-10 weeks in utero
2. 13-16 weeks in utero
3. 22-26 weeks in utero
4. 30-34 weeks in utero

Correct answer: 2. 13-16 weeks in utero